Joint involved in rheumatoid arthritis are all EXCEPT:
1. PIP
2. DIP
3. MCP
4. Cervical spine

Correct answer: 2. DIP

Explanation: DIP REF: Apley's 8th e p. 51-58 Commonly involved joints in RA: Wrist MCP PIP Elbow Knee Ankle MTP Less commonly involved joints: Upper cervical spine with atlanto axial subluxation Hip joint TM joint Subtalar and foot joints Joints not involved in RA: Lumbar spine DIP